Mechanism of action of sodium nitrite in Cyanide poisoning is?
1. Produces methemoglobinemia
2. Increased blood flow to liver
3. Increased blood flow to heart
4. Increased blood flow to kidney

Correct answer: 1. Produces methemoglobinemia

Explanation: Sodium nitrite converts haemoglobin to methemoglobin and this methemoglobin combines with cyanide to form nontoxic cyanmethemoglobin. This cyanmethb will be excreted from the body trough urine REF: Essentials of Medical Pharmacology KD Tripathi 8th ed.